Multiple infection of red blood cell is seen with-
1. Plasmodium ovale
2. Plasmodium vivax
3. Plasmodium falciparum
4. Plasmodium malariae

Correct answer: 3. Plasmodium falciparum